Rhodopsin has a peak sensitivity to light of wavelength:
1. 100 nm
2. 355 nm
3. 505 nm
4. None of the above

Correct answer: 3. 505 nm

Explanation: The photosensitive pigment in the rods is called rhodopsin (visual purple). Its opsin is called scotopsin. Rhodopsin has a peak sensitivity to light at a wavelength of 505 nm. Ref: Ganong's Review of Medical Physiology 23rd edition, Chapter 12.